Ideally immunization against poliomyelitis should be started at:
1. Birth
2. 6 weeks
3. 12 weeks
4. 9 months

Correct answer: 1. Birth

Explanation: Ans. A i.e. Birth